A otherwise asymptomatic child was found to have hypertension. On further evaluation, his Urine analysis revealed 2-3 pus cells/HPF and 2-4 RBCs. Which of the following would be the most likely diagnosis?
1. Post-Streptococal GN
2. Idiopathic RPGN
3. Interstitial nephritis
4. VUR with reflux nephropathy

Correct answer: 4. VUR with reflux nephropathy

Explanation: Chronic Reflux-Associated Pyelonephri s (Reflux Nephropathy)